The pseudomyxoma peritonei occurs as a complication of the following ovarian tumours:
1. Serous cyst adenoma
2. Mucinous cyst adenoma
3. Dysgerminoma
4. Gonadoblastoma

Correct answer: 2. Mucinous cyst adenoma

Explanation: Pseudomyxoma peritonei is a condition in which the neoplastic epithelium secretes large amounts of gelatinous mucinous material. It is most commonly seen secondary to:
• Appendicular carcinoma (well differentiate carcinoma).
• Ovarian mucinous carcinoma; mucinous cystadenoma.
• Mucocoele of appendix (less commonly seen).
Even after removal of the ovarian tumours, these cells continue to secrete mucin.
Tendency of recurrence is present.
Prognosis is Poor.
Management: Hysterectomy with BSO with removal of mucin peritoneal implants along with appendix.